42 yrs old man presented with dizziness on standing, SBP falls by 50 mm Hg and HR is 52/min likely cause is -
1. CHF
2. Inferior wall MI
3. Pheochromocytoma
4. Theophylline toxicity

Correct answer: 2. Inferior wall MI

Explanation: Cardiac arrest due to bradyarrhythmias or asystole (B/A cardiac arrest) is managed differently. The patient is promptly intubated, CPR is continued, and an attempt is made to control hypoxemia and acidosis. Epinephrine and/or atropine are given intravenously or by an intracardiac route. External pacing devices are used to attempt to establish a regular rhythm. The success rate may be good when B/A arrest is due to ACUTE INFERIOR WALL MYOCARDIAL INFARCTION or to correctable airway obstruction or drug-induced respiratory depression or with prompt resuscitation efforts. ref:harrison's principles of internal medicine,ed 18,pg no 2245